Which of the following ducts are not associated with salivary glands
1. Wharton's duct
2. Stensen's duct
3. Ducts Of Rivinus
4. Ducts Of Santorini

Correct answer: 4. Ducts Of Santorini

Explanation: The accessory pancreatic duct is called the Duct of Santorini.The duct of submandibular gland is Wharton ductThe duct of the parotid gland is Stensen ductThe duct of sublingual gland drains by multiple small numerous small ducts all of which open into the floor of the mouth and are collectively termed as duct of RivinusRef: Bailey and love 27th edition PG 778